Mercedes procedure is used in:
1. Discrepancy in size of ileum and stoma
2. Ileostomy stenosis
3. Ileostomy prolapse
4. Ileostomy leak

Correct answer: 1. Discrepancy in size of ileum and stoma

Explanation: Mercedes Procedure Used when there is descrepency between the size of the ileal loop and the ileostomy stoma Mercedes benz or Seagull sign Rarely the centre of gallstones may contain radioluscent gas in a triradiate or biradiate fissure.This gives characteristic dark shapes on radiograph Mercedes sign incision Excision of Xiphoid process and downward traction on the liver provides excellent exposure of the hepatic veins and suprahepatic IVC Ref: Sabiston 20th edition Pgno: 1328